Pleura extends to which rib in mid axillary line:
1. 8
2. 9
3. 10
4. 11

Correct answer: 3. 10

Explanation: 10